Which of the following regarding chaperones are false?
1. Belong to heat shock proteins
2. They have a wide range of expression
3. Ubiquitin is the most important chaperon
4. Prevent aggregation of unfolded proteins

Correct answer: 3. Ubiquitin is the most important chaperon

Explanation: Some Properties of Chaperone Proteins:

Present in a wide range of species from bacteria to humans.
Many are so-called heat shock proteins (Hsp).
Some are inducible by conditions that cause unfolding of newly synthesized proteins (eg, elevated temperature and various chemicals).
They bind to predominantly hydrophobic regions of unfolded proteins and prevent their aggregation.
They act in part as a quality control or editing mechanism for detecting misfolded or otherwise defective proteins.
Most chaperones show associated ATPase activity, with ATP or ADP being involved in the protein-chaperone interaction.
Found in various cellular compartments such as cytosol, mitochondria, and the lumen of the endoplasmic reticulum.

Ref: Harper’s illustrated biochemistry. 30th edition page no: 609